Fossa incudis is related to ?
1. Head of malleus
2. Long process of incus
3. Short process of incus
4. Foot process of stapes

Correct answer: 3. Short process of incus

Explanation: Fossa incudis contains short process of Incus. Head of malleus is attached to epitympanum by ligament of head of malleus. Long process of incus is attached to head of stapes. Footplate of stapes lies over oval window.